Most common cause of embolic stroke is?
1. Intra cardiac mural thrombi
2. Particulate matter from iv drug injections
3. Protein C deficiency
4. Antiphospholipid syndrome

Correct answer: 1. Intra cardiac mural thrombi

Explanation: *approximately 20% of ischemic strokes are due to embolism from the heart. the most common causes are atrial fibrillation,prosthetic heart valves,other valvular abnormalities and recent myocardial infraction. Ref Harrison20th edition pg 2345